Necrosis with cell bodies retained as ghost cells are -
1. Coagulative necrosis
2. Liquefactive
3. Caseous
4. None

Correct answer: 1. Coagulative necrosis

Explanation: Ans. is 'a' i.e., Coagulative necrosis o Coagulative necrosis is caused by tombstone appearance of affected tissues.Types of necrosisCoagulativenecrosisLiquefactivenecrosisCaseousnecrosisFat necrosisFibrinoidnecrosisGangrenousnecrosiso Most common type of necrosis.o Loss of nucleus with the cellular outline being preserved.o Associated with ischemia.o Seen in organs (heart, liver, kidney etc) except BRAIN.o Enzymatic destruction of cells,o Abscess formation,o Pancreatitis,o Seen in the brain.o Combination of coagulative and liquefactive necrosis.o Characteristic of TB.o Cheese likethe appearance of the necrotic material.o The action of lipases on fatty tissue,o Seen in the breast, omentum, and pancreatitis.o Complexes of antigens and antibodies are deposited in vessel wall with leakage of fibrinogen our of vessels,o Seen in PAN Aschoff bodies (in rheumatic heart disease) and malignant hypertension.(Surgically use term necrosis of tissue with superaddedputrefaction)o Dry- gangrene is similar to coagulative necrosis.o Wet gangrene is similar to liquefactive necrosis and is due to secondary' infection,o Noma is a gangrenous lesion of vulva or mouth (cancrum oris),o Fournier's gangrene is seen in scrotum.